Sternal edema is seen in -
1. Measles
2. Mumps
3. Diphtheria
4. Varicella

Correct answer: 2. Mumps